The gingival crevicular fluid is increased in all except:
1. Gingivitis
2. Smoking
3. Periodontal pocket
4. Trauma from occlusion

Correct answer: 4. Trauma from occlusion